Linkage disequilibrium refers to?
1. Never co-inherited gene
2. Inherited but not with disease causing gene
3. Genetic mutations
4. Co-inherited with the disease causing gene

Correct answer: 4. Co-inherited with the disease causing gene

Explanation: Ans. (d) Co-inherited with the disease causing gene(Ref: Robbins 9th/pg 3)Even if any SNP has no effect on gene function (Neutral SNP) Q, it may be co-inherited with the "actual disease causing gene," if located close to that gene. This is called "Linkage disequilibrium" Q